Contracted socket occurs because of all the following except:
1. Chronic low grade infection
2. Chronic mechanical irritation
3. Irradiation
4. Loss of fatty tissue during surgery of enucleation

Correct answer: 4. Loss of fatty tissue during surgery of enucleation

Explanation: Ans. Loss of fatty tissue during surgery of enucleation